Sensitivity is used to calculate:
1. True negative
2. False positive
3. True positive
4. False negative

Correct answer: 3. True positive

Explanation: Ans. (c) True positiveSENSITIVITY: Defined as ability of a screening test to identify all those who have disease (cases/ True Posiive)